True about lobes of prostate is all except
1. Anterior lobe corresponds with peripheral zone
2. Central zone constitues about 25% normaly
3. Posterior lobe corresponds with peripheral zone
4. Cancers of central zone are more aggressive

Correct answer: 1. Anterior lobe corresponds with peripheral zone

Explanation: (Anterior lobe corresponds with peripheral zone) (402-BDC-2 6th ed)NameFraction of glandDescriptionPeripheral zone (PZ)Up to 70% in young menThe sub-capsular portion of the posterior aspect of the prostate gland that surrounds the distal urethra. It is from this portion of the gland that ~70 - 80% of prostatic cancers originate.Central zone (CZ)Approximately 25% normallyThis zone surrounds the ejaculatory ducts. The central zone accounds for roughly 2.5% of prostate cancers although these cancers tend to be more aggressive and more likely to invade the seminal vesicles.Transition zone (TZ)5% at puberty~ 10-20% of prostate cancers originate in this zone. The transition zone surrounds the proximal urethra and is the region of the prostate gland that grows thoughout life and is responsible for the disease of benign prostatic enlargement.Anterior fibro muscular zone (or stroma)Approximately 5%This zone is usually devoid of glandular components, and composed only, as its name suggests, of muscle and fibrous tissue. Anterior lobe (or isthmus)Roughly corresponds to part of transitional zonePosterior lobeRoughly corresponds to peripheral zoneLateral lobesSpans all zonesMedian lobe (or middle lobe)Roughly corresponds to part of central zonePROSTATE* Prostate is a fibromuscular glandular organ that surrounds the prostatic urethra.* It is about 1.25 inch (3cm) long and lies between the neck of the bladder above are urogenital diaphragm below* The numerous glands of the prostate are embedded in a mixture of smooth muscle and connective tissue and their ducts open into the prostatic urethra* The prostate is incompletely divided into 5 lobes1. Anterior lobe -lies in front of the urethra and is devoid of glandular tissue2. Median or middle lobe- the wedge of gland situated between the urethra and the ejaculatory ducts its upper surface is related to the trigone of the bladder, it is rich in glands **3. Posterior lobe is situated behind the urethra and below the ejaculatory ducts and also contains glandular tissue4. Right and left lateral lobe. Lies on either side of the urethra and are separated from one another by a shallow vertical groove on the posterior surface of he prostate. The lateral lobes contains many glandsFunctions of prostate1. The prostate produces a thin, milky fluid containing citric acid, and acid phosphates that is added to the seminal fluid at the time of ejaculation2. The prostatic secretion is alkaline and helps neutralize the acidity in the vagina *** Benign prostatic hyperplasia (BPH) occurs in the Median lobe ** (periurethral zone) and carcinoma of he prostate occurs in the peripheral zone *** (posterior lobe)**** Cancer of prostate may metastasis to distant parts through vertebral venous plexus (Batson's plexus).